A 50 yr. old male presented with chronic breathlessness and intermittent jaundice. He denies smoking and alcohol abuse. Lung and liver specimens revealed the following findings respectively What is the most probable diagnosis?
1. Hemochromatosis
2. Cystic fibrosis
3. Alpha 1 antitrypsin deficiency
4. Wilsons disease

Correct answer: 3. Alpha 1 antitrypsin deficiency

Explanation: The lung specimen reveals diffusive panacinar emphysema. The liver biopsy shows PAS positive diastase resistant deposits. Both the above clues point towards option C. - Option A hemochromatosis would show pearls stain on liver biopsy. - Cystic fibrosis would show bronchiectasis.